AA amyloid chain is found in -
1. Multiple myeloma
2. Rheumatoid arthritis
3. Gout
4. All

Correct answer: 2. Rheumatoid arthritis

Explanation: Ans. is 'b' i.e., Rheumatoid arthritis AA amyloid is secondary amyloidosis (for causes see previous explanations) o Amyloid in familial mediterranean fever is also AA type.